Which of the following can cause recurrent Pancreatitis without any obvious seen pathology?
1. Pancreas Divisum
2. Hypertriglyceridemia
3. Sphincter of Oddi dysfunction
4. All the above

Correct answer: 4. All the above

Explanation: Ans. (d) All the AboveRef: Bailey and Love 27th ed; pg. 1222Causes of Recurrent Pancreatitis:* Pancreas Divisum* Sphincter of Oddi Dysfunction* Pancreatic malignancy* Cystic Fibrosis* Hypertriglyceridemia induced* Idiopathic* Drugs* Gall bladder Sludge